Pseudopolyps are features of -
1. Crohn's disease
2. Ulcerative colitis
3. Celiac sprue
4. Whipple's disease

Correct answer: 2. Ulcerative colitis

Explanation: Ulcerative colitis 

Ulcerative colitis is an inflammatory bowel disease characterized by -


Inflammation involving only the mucosa and submucosa.
Formation of pseudopolyps
Involvement is in a continuous fashion (absent of skip lesions which are characteristic of CD).


Ulcerative colitis involves the rectum and extends proximally in a retrograde fashion to involve the entire colon (pancolitis) in more severe cases.
UC is associated with HLA-DR2, polymorphism in IL-10 gene and an abnormal T-cell response particularly of CD4 T-cells (T H2 cells).